The type of joint between the sacrum and the coccyx is a -
1. Symphysis
2. Synostosis
3. Synchondrosis
4. Syndesmosis

Correct answer: 1. Symphysis

Explanation: Sarococcygeal joint is secondary cartilaginous joint (symphysis).